Best way to prevent infection after cataract surgery is -
1. Antibiotics
2. Yebrows shaving
3. Through irrigation
4. None of the above

Correct answer: 1. Antibiotics

Explanation: The most important source of potentil infectious organisms is the patient's own natural conjunctival and skin flora. So, prophylactic antibiotic should adequately cover these organisms. The pre- operative topical antibiotic should be started 3 days prior to sugery. Preferred antibiotics are fourth generaion fluoroquinolones (gatifloxacin, moxifloxacin). Other antibiotics are aminoglycosides, traditional fluoroquinolones (ciprofloxacin, levofloxacin) and gramicidin- neomycin - polymyxin B combinatin. (Ref: Yanoff; Jay S. Duker 2009 Ophthalmology 3rd/e p.416-419)